Ketone body formation without glycosuria is seen in
1. Diabetes mellitus
2. Diabetes insipidus
3. Starvation
4. Obesity

Correct answer: 3. Starvation

Explanation: In starvation, the dietary supply of glucose is decreased. Available oxaloacetate is channeled to gluconeogenesis The increased rate of lipolysis is to provide alternate source of fuelExcess acetyl CoA is converted to ketone bodies